Kemicetine solution is used as a treatment in
1. Allergic Rhinitis
2. Atrophic Rhinitis
3. Vasomotor Rhinitis
4. Nasal Myiasis

Correct answer: 2. Atrophic Rhinitis